A pregnant women with BP 150/100 mmHg, proteinuria after 20 weeks. Diagnosis?
1. Pre-eclampsia
2. Pregnancy induced hypertension
3. Renal hypertension
4. Eclampsia

Correct answer: 1. Pre-eclampsia

Explanation: Ans. (a) Pre-eclampsiaRef. William's Obstetrics 23rd ed. Ch 34.GESTATIONAL HYPERTENSION CRITERIA* Systolic BP>140 or diastolic BP > 90 mm Hg for first time during pregnancy* No proteinuria* BP returns to normal before 12 weeks postpartum* Final diagnosis made only postpartum* May have other signs or symptoms of preeclampsia, for example, epigastric discomfort or thrombocytopenia.PRE-ECLAMPSIA* BP > 140/90 mm Hg after 20 weeks' gestation* Proteinuria >300 mg/24 hours or > 1+ dipstickEclampsia: symptoms of pre-eclampsia + seizures that cannot be attributed to other causes in a woman with preeclampsia.